Face of giant panda sign is seen in?
1. Wilson's disease
2. Japanese encephalitis
3. Rasmussen's encephalitis
4. Wernicke's encephalopathy

Correct answer: 1. Wilson's disease

Explanation: Ans AFace of giant panda or Midbrain Panda sign refers to the typical appearance of midbrain when the red nucleus and substantia nigra are surrounded by high signal on T2W. Often seen in Wilson's disease (best answer) but can also be seen in Japanese encephalitis